All of the following statements stand true for telengiectasia of colon except :
1. May be seen in person less than 40 years of age
2. May be seen in person more than 60 years of age
3. Common site is caecum
4. 50% involve rectum

Correct answer: 4. 50% involve rectum

Explanation: Answer is D (50% involve rectum) Thus involvement of left side of colon (or rectum) is uncommon and certainly less than 50% of cases involve rectum. Telengicctasias consist of dilated capillaries that appear clinically as erythematous to violaceous vessels. Telengiectaseas in colon may most commonly be due to: 1. Vascular ectasia / Angiodysplasia - Angiodysplasia is a telengiectasia of thin walled capillaries and venules in the mucosa and submucosa of colon - Mean age at diagnosis is approx. 65 years but cases have occured in the young. - 2/3 of lesions are located in coecum and ascending colon and one quarter in the left colon. 2. Radiation : Telengiectaseas are the most common long term effect of radiation. 3. Hereditary hemorrhagic telengiectaseas -affect younger patients with a positive family history.